Patient with growth retardation, delayed milestones with kinky hair. What is the diagnosis?
1. Menke's disease
2. Trisomy 21
3. Lesch nyhan syndrome
4. Wilson disease

Correct answer: 1. Menke's disease

Explanation: The given scenario suggests diagnosis of Menke's disease X- linked recessive disorder caused by mutations in genes coding for the copper transport protein ATP7A. C/F- Growth retardation Delayed milestones Kinky hair Hypotonia, hypothermia Seizures Lesch nyhan syndrome- self injury Wilson disease- KF ring, neurological & hepatic manisfestation.